Adenocarcinoma of esophagus is commonly found in
1. Achlasia acardia
2. Barret's oesophagus
3. Plummer vinson syndrome
4. Chronic smoking

Correct answer: 2. Barret's oesophagus

Explanation: Answer is B (Barret's esophagus) Adenocarcinoma is seen in Barret's esophagus Barret's esophagus is a metaplastic change in the lining mucosa of oesophagus in response to chronic gastroesophagus reflex. In Barret's esophagus the junction between oesophageal mucosa (squammous) and gastric mucosa (columnar) moves proximally such that the lower part of esophagus now becomes lined with different types of gastric mucosa. This part of oesophagus has an increased risk for adenocarcinoma i.e. Adenocarcinoma is seen in Barrets esophagus.